"Bullneck" appearance is a characteristic feature seen in
1. Epidermolysis bullosa
2. Severe Diphtheria
3. Epidemic Parotiditis
4. Acute Epiglottitis

Correct answer: 2. Severe Diphtheria

Explanation: Regional lymphadenopathy in diphtheria causes a brawny thickening /swelling all around the neck, giving a 'bull neck" appearance Ref : Park 23rd edition Pgno : 161